Which of the following is not an eye change after death?
1. Loss of intraocular pressure
2. Decreased potassium level in vitreous
3. Fragmentation of vessels in retina
4. Corneal haziness

Correct answer: 2. Decreased potassium level in vitreous

Explanation: Ans. (B). decreased potassium level in vitreousChanges in the eyes:Loss of corneal reflexUnreliable signCorneal opacitySeen in one hour due to drying.If the eyelids closed, delayed by 2 hours.Decreased IOPIOP becomes zero in 2 hours resulting inflaccidity of eyeballPupilsDilated initially, contracted laterVitreous changesIncreased potassium levelRetinal vesselsKevorkian sign - fragmentation of vessels